Which of these is true of pre-operative preparation for hysterectomy?
1. Prophylactic antibiotic is given at the time of skin incision
2. Dose of antibiotic should be repeated after 3 hours in case the surgery is prolonged or there is excessive bleeding
3. Povidone iodine preparations have lower rate of SSI than chlorhexidine alcohol based preparations
4. All patients must be screened for bacterial vaginosis and adequately treated

Correct answer: 2. Dose of antibiotic should be repeated after 3 hours in case the surgery is prolonged or there is excessive bleeding

Explanation: Prophylactic antibiotic: single dose 30 to 60 minutes before skin incision (and not at the time of incision) Cefazolin 1 to 2 g and increased to 3 g for obese patients is recommended. Re-dosing is recommended after 3 hours of surgery and with excessive bleeding. Chlorhexidine-alcohol-based skin preparations have a lower odds of surgical site infection compared with povidone-iodine preparations. Concentrations of 4% or less can be used in the vagina Although treating all patients with bacterial vaginosis may decrease vaginal cuff cellulitis, universal screening preoperatively is not recommended as a routine.